Epidemiological triad includes all except
1. Host
2. Environment
3. Agent
4. Investigator

Correct answer: 4. Investigator

Explanation: The Epidemiologic Triad consists of an external agent, a host and an environment in which host and agent are brought together, causing the disease to occur in the host. Ref: 25th edition, Park's Textbook of Preventive and Social Medicine, Page no. 39